Capsule of pneumococcus is:
1. Polypeptide
2. Polysaccharide
3. Lipopolysaccharide
4. Not a Virulence factor

Correct answer: 2. Polysaccharide

Explanation: Polysaccharide